What is true about Echinococcus Granulosus?
1. Definitive host in humans
2. Accidental intermediate host in humans
3. Intermediate host in dogs
4. Definitive host in snails

Correct answer: 2. Accidental intermediate host in humans

Explanation: Ref: Textbook of surgical gastroenterology pg. 767, PK mission ed 2016Human echinococcosis is a zoonotic disease that is caused by parasites, namely tapeworms of the genus Echinococcus.Transmission* E. granulosus requires two host types, a definitive host and an intermediate host.* The definitive host of this parasite are dogs* Intermediate host are most commonly sheep, however, cattle, horses, pigs, goats, and camels are also potential intermediate hosts.* Humans can also be an intermediate host for E. granulosus, however this is uncommon and therefore humans are considered an accidental intermediate host.